A 30-year-old man has 6/5 vision each eye, unaided. His cycloplegic retinoscopy is + 0.0D sph. at 1 metre distance. His complaints are blurring of newsprint at 30 cm, that clears up in about two minutes. The most probable diagnosis is –
1. Hypermetropia
2. Presbyopia
3. Accommodative inertia
4. Cycloplegia

Correct answer: 3. Accommodative inertia

Explanation: The patient in question complains of blurring of newsprint at 30 cm which clears up on its own in about 2 minutes.
This indicates that the accommodative system is slow in making a change and represents a case of accommodative inertia. `Accommodative inertia refers to the delay in response of accommodation. Normally an accommodative change occurs in 1 sec. ' ___Pradeep Sharma